All of the following are advantages of LMA except?
1. More reliable than face
2. Prevent aspiration
3. Alternative to Endotracheal intubation
4. Does not require laryngoscope & visualization

Correct answer: 2. Prevent aspiration

Explanation: Ans. is 'b' i.e., Prevent aspiration LMA is intermediate between the face mask and Endotracheal intubation in terms of reliability, invasiveness and facilitation of gas exchance (face mask has minimum and endotracheal intubation has maximum). LMA does not prevent aspiration --) should not be used in full stomach patients. LMA can be used as an alternative to endotracheal intubation for minor surgeries, where anaesthetist wants to avoid intubation. LMA is introduced blindly (without laryngoscopy).